STEPS done for
1. Surveillance of incidence of non-communicable disease
2. Surveillance of risk factors of non-communicable disease
3. Surveillance of evaluation of treatment of noncommunicable disease
4. Surveillance of mortality from non-communicable disease

Correct answer: 2. Surveillance of risk factors of non-communicable disease

Explanation: STEP wise approach to surveillance (STEPS): Is a simple, standardized method by WHO for surveillance
Is of two types:

STEP-wise approach to chronic disease risk factor surveillance
STEP-wise approach to Stroke surveillance